The major fuel for the brain after several weeks of starvation
1. Glucose
2. Fatty acid
3. Beta hydroxybutyrate
4. Glycerol

Correct answer: 3. Beta hydroxybutyrate

Explanation: The major fuel for brain in prolonged starvation is ketone bodies (Beta hydroxybutyrate, acetoacetate).